Least cariogenic among these
1. Raw starch
2. Cooked starch
3. Sucrose
4. Fructose

Correct answer: 1. Raw starch